Hormone responsible for decidual reaction and arias Stella reaction in ectopic pregnancy is -
1. Oestrogen
2. Progesterone
3. HCG
4. HPL

Correct answer: 2. Progesterone

Explanation: Hormone responsible for decidual reaction and arias Stella reaction in Ectopic as well as Intrauterine pregnancy is Progesterone Arias stella reaction is the localized hypersecretory endometrium seen in ectopic pregnancy.